A 25 year old male patient reports with a bony expansile
swelling of the right body of the mandible & mild paresthesia of the right IDN. OPG shows a multi Jocular
radiolucency without root resorption.

A dirty white aspirate with a protein estimation of < 4gm% is suggestive of
1. Ossifying fibroma
2. Dentigerous cyst
3. Muco-epidermoid carcinoma
4. Odontogenic Keratocyst

Correct answer: 4. Odontogenic Keratocyst